Which is the commonest site of curling's ulcer
1. 1st part of duodenum
2. 2nd part of duodenum
3. 3rd part of duodenum
4. Junction between 2nd and 3rd part of duodenum

Correct answer: 1. 1st part of duodenum

Explanation: Acute ulcers formed after major burns are called as curling's ulcers .diagnosis is by gastroscopy.presents as a pain in the gastric region, vomiting or haematemesis, treatment is conservative with PPI, curling's ulcer occurs when burn injury is more than 35%. Ref: SRB's manual of surgery,ed5, pg 823